Absence–seizures are seen in –
1. Ground mal epilepsy
2. Myoclonic epilepsy
3. Petitmal epilepsy
4. Hyperkinetic child

Correct answer: 3. Petitmal epilepsy

Explanation: Absence seizures are also called petitmal or minor epilepsy.
Generalized tonic clonic seizures (GTCS) are also called grand mal or major epilepsy.
Complex partial seizures are also called temporal lobe epilepsy or Psychomotor epilepsy.
Simple partial seizures are also called cortical focal epilepsy.